Arnold-Chiari malformation-All are true except-
1. Cerebellomedullary malformation
2. Almost always associated with severe spina bifida
3. There is obstruction to the flow of CSF
4. 4th ventricle lies above the level of formen magnum

Correct answer: 4. 4th ventricle lies above the level of formen magnum